Neonatal conjunctivitis is caused by all except:
1. Gonococcus
2. Chlamydia
3. Aspergillus
4. Pseudomonas

Correct answer: 3. Aspergillus

Explanation: Ans. Aspergillus